Cause of death in Carcinoma penis is usually -
1. Metastasis to lung
2. Metastasis to liver
3. Erosion of Femoral blood vessels
4. Urinary obstruction

Correct answer: 3. Erosion of Femoral blood vessels

Explanation: Inguinal lymph nodes erode the skin of the groin and the death of the patient may be due to involvement of the femoral or external iliac artery with torrential hemorrhage.